Anatomic teeth should have cusp angle of
1. 30°
2. 31°
3. 32°
4. 33°

Correct answer: 4. 33°